In lac operon, transcription is inhibited by binding into ?
1. Promotor site
2. Operator site
3. CAP site
4. None of the above

Correct answer: 2. Operator site

Explanation: Ans. is 'b' i.e., Operator siteRepressor binds to this site and blocks transcription.